Normal level of PSA is
1. < 4 ng/ml
2. 4-7 ng/ml
3. 4 - 11ng/ml
4. > 11 ng/ml

Correct answer: 1. < 4 ng/ml

Explanation: In BPH , prostatitis and cancer is PSA is raised.